Weight loss may be seen in all of the following except:
1. Uremia
2. Pheochromacytoma
3. Adrenal insufficiency
4. Insulinoma

Correct answer: 4. Insulinoma

Explanation: Answer is D (Insulinoma) Insulinoma is characterised by an increase in weight (weight gain) and not by weight loss. Weight gain may result from increased food ingested to combat symptoms of hypoglycemia. Classic presentation of Insulinoma : 'Whipple's triads2 : 1. Fasting hypoglycemiaQ 2 Symptoms of hypoglycemiaQ 3. Immediate relief after I. V. glucose administrationQ